A 16-year-old boy sustained blunt trauma to his abdomen when he struck a bridge abutment at high speed while driving a motor vehicle. Peritoneal lavage shows a hemoperitoneum, and at laparotomy, a small portion of the left lobe of the injured liver is removed. Two months later, a CT scan of the abdomen shows that the liver has nearly regained its size before the injury. Which of the following processes best explains this CT scan finding?
1. Apoptosis
2. Dysplasia
3. Hyperplasia
4. Hydropic change

Correct answer: 3. Hyperplasia

Explanation: The liver is one of the few organs in the human body that can partially regenerate. This is a form of compensatory hyperplasia. The stimuli to hepatocyte mitotic activity cease when the liver has attained its normal size. Hepatocytes can reenter the cell cycle and proliferate to regenerate the liver; they do not just hypertrophy (increase in size). Apoptosis is single cell death and frequently occurs with viral hepatitis. Dysplasia is disordered epithelial cell growth that can be premalignant. Hydropic change, or cell swelling, does not produce regeneration. Steatosis (fatty change) can lead to hepatomegaly, but not as a regenerative process. It is the result of toxic/metabolic hepatocyte injury.